Nongonococcal urethritis is caused by:
1. Chlamydia
2. LGV
3. Syphilis
4. Gardnerella vaginalis

Correct answer: 1. Chlamydia

Explanation: Ans. is a, i.e. ChlamydiaRef: Harrison 17th/ed, p823; Current diagnosis and treatment of STI p15Non gonococcal urethritis is caused by:* Chlamydia trachomatis (30-40%)* Ureaplasma urealyteum* Mycoplasma genitalium* E coli* Ureaplasma urealyticum* Trichomonas vaginalis* Herpes simplex virusRare Cases:* Anaerobic bacteria* AdenovirusManagement:Azithromycin 1g orally in a single dose or doxycycline 100mg orally twice a day x7 daysAlternative = Erythromycine 500mg four times a day x7 days